Which of the following does not show an incubatory carrier state?
1. Polio
2. Diphtheria
3. Measles
4. Cholera

Correct answer: 4. Cholera

Explanation: Incubatory carriers Can transmit the agent during the incubation period before clinical illness begins. Eg:Measles, Mumps, Polio, Pertussis, Influenza, Diphtheria and Hepatitis B =In cholera, convalescent carriers are seen.